A 40yr old patient came in emergency department with abdominal colic and features of obstructive jaundice Her courts and liver enzymes were elevate A USG was done and gallbladder was scleroatrophic and CBD was impacted with stones along with IHBR dilation Which is the next step in the MANAGEMENT of this patiemnt
1. cholecystectomy
2. ERCP -MRCP
3. CT SCAN
4. NONE

Correct answer: 2. ERCP -MRCP

Explanation: REF : DAVID SUTTON 9TH ED